Causative agent of SABE should be culture on ?
1. Nutrient agar
2. Blood agar
3. U medium
4. Tel lurite broth

Correct answer: 2. Blood agar

Explanation: Ans. is 'b' i.e., Blood agar